Vaccine CONTRAINDICATED in pregnancy is:
1. Hepatitis A vaccine
2. MMR
3. Tetanus toxoid
4. Hepatitis B vaccine

Correct answer: 2. MMR

Explanation: Ans. B i.e. MMR No evidence exists of risk to the fetus from vaccinating pregnant women with inactivated virus or bacterial vaccines or toxoids. Live vaccines administered to a pregnant woman pose a theoretical risk to the fetus; therefore, live, attenuated virus and live bacterial vaccines generally are contraindicated during pregnancy.